Most common glial tumor -
1. EpendYmomas
2. Astrocytoma
3. Meningioma
4. Neurofibroma

Correct answer: 2. Astrocytoma

Explanation: Ans. is 'b' i.e., Astrocytoma o Most common glial tumor Astrocytoma o Most common meningeal tumor Meningioma